Mantle cell lymphoma shows
1. CD 5+, CD 25 -
2. CD5+, CD 10+
3. CD5+, CD 23+
4. CD5+, CD 23 -

Correct answer: 4. CD5+, CD 23 -

Explanation: *Markers of germinal center B cells: CD19, CD20, CD10, and BCL-6.*The lymphomas which arise from germinal center B cells*are follicular lymphoma, diffuse large B cell lymphoma, and Burkitt lymphoma. Mantle cell *lymphoma arise from mantle zone surrounding germinal center which is usually CD10 negative. Hence option B excluded.Salient features of NHL TypeImmunophenotypeDLBCLSIg+, CD10+, CD 5+, Ki67<90%Follicular lymphomaSIg+, CD10+, CD 5-, CD 23+, BCL-2+MALT lymphomaSIg+, CD10-, CD 5-, , CD 23-Small lymphocytic lymphomaSIg+ (weak), CD10-, CD 5+, CD 23+,Mantle cell lymphomaSIg+, CD10-, CD 5+, CD 23-, Cyclin D1+Burkitt lymphomaSIg+, CD10+, CD5-, Ki67>99%(Ref: Robbins 8/e p605-608, 612-613, 7/e p675-678, Wintrobe's 12/e p2223)